Which of the following statement about Bacteroides is TRUE?
1. It is strictly aerobic
2. It can cause peritonitis
3. It is a gram positive bacilli
4. Presence in stool culture indicates need for treatment

Correct answer: 2. It can cause peritonitis

Explanation: Bacteroides are commonly responsible for abdominal infections such as subphrenic abscess, hepatic abscess, peritonitis, appendicitis and brain abscess. Ref: Sherris Medical Microbiology By Kenneth J. Ryan, 5th Edition, Chapter 29